"Caspases" are involved in:
1. Organogenesis
2. Fatty change
3. Hydropic degeneration
4. Collagen hyalinosis

Correct answer: 1. Organogenesis

Explanation: Organogenesis